Red infarct is seen in:
1. Kidney
2. Heart
3. Brain
4. Small intestine

Correct answer: 4. Small intestine

Explanation: Ans. D: Small intestine Hemorrhagic infarcts/red infarcts are infarcts commonly caused by occlusion of veins, with red blood cells entering the area of the infarct. This is commonly seen in lungs, liver, ovary and the GI tract, areas referred to as having "loose tissue," or dual circulation.